Screening is done because of all except:
1. Testing for infection or disease in population or in individuals who are not seeking health care
2. It is defined presumptive identification of unrecognized disease
3. Search for unrecognized disease or defect by means of rapidly applied test, examinations or other procedures in apparently healthy individuals
4. Use of clinical or laboratory tests to detect disease in individual seeking health care for other reasons

Correct answer: 4. Use of clinical or laboratory tests to detect disease in individual seeking health care for other reasons

Explanation: Screening is testing for infection or disease in populations or in individuals who are not seeking health care. It is defined presumptive identification of unrecognized disease. E.g. serological testing for AIDS virus in blood donors, neonatal screening, pre-marital screening for syphilis . Search for unrecognized disease or defect by means of rapidly applied test, examinations or other procedures in apparently healthy individuals. Case finding is use of clinical and/or laboratory tests to detect disease in individuals seeking health care for other reason ; for example, the use of VDRL test to detect syphilis in pregnant women.